Administration of which of the following can prevent neural defects in newborn?
1. Folic acid
2. VitBl'2
3. Pyridoxine
4. Vitamin C

Correct answer: 1. Folic acid

Explanation: Ref: Nelson's Textbook of Pediatrics. 19th Edition.Explanation:Prevention of Neural tube defectsAll women of childbearing age and who are capable of becoming pregnant take (1.4 mg of folic acid daily.In high-risk women (previously affected child), supplementation should be started with 4 mg of folic acid daily, beginning i mo before the time of the planned conception.Certain drugs that antagonize folic acid increase the risk of myelomeningoceleTrimethoprimCarbamazepinePhenytoinPhenobarbitalPrimidoneValproic acid